In DIC, which is not seen?
1. Fibrinogen decreased
2. Thrombocytopenia
3. Normal APTT
4. PT elevation

Correct answer: 3. Normal APTT

Explanation: In the blood picture of Disseminated intravascular coagulation: Platelet count is low, Prothrombin time, thrombin time, activated partial thromboplastin time are all prolonged. Plasma fibrinogen levels are reduced, Fibrin degradation products are raised Reference textbook of Pathology 7th edition author Harsha Mohan page number 31